In treatment of Papillary Carcinoma thyroid, Radioiodine destroys the neoplastic cells predominantly by-
1. X rays
2. b rays
3. g rays
4. a particles

Correct answer: 2. b rays

Explanation: Ans. is 'b' i.e., b rays